All are included in Kangaroo Mother Care except:
1. Skin to skin contact
2. Early discharge and follow up
3. Free nutritional supplements
4. Exclusive Breast feeding

Correct answer: 3. Free nutritional supplements

Explanation: KANGAROO MOTHER CARE is for prevention of neonatal hypothermia in low birth weight/premature newborns: Skin -to -skin positioning of newborn on mother's chest. Adequate nutrition through breast feeding. Early discharge and ambulatory care. Support to the mother and family for child care.